Test used for Dubin Johnson syndrome?
1. Gamma Glutamyl Transferase
2. Serum Amylase Test
3. Bromosulphalein test
4. Hippuric acid test

Correct answer: 3. Bromosulphalein test